The disposal of night soil and refuse is by -
1. Chemical sterilization
2. Burning
3. Composting
4. Any of the above

Correct answer: 3. Composting

Explanation: Composting is method of combined disposal of refuse and nightsoil or sludge.Process of nature whereby organic matter breaks down under bacterial action resulting in formation of humus like compost. The by-products are carbondioxide,water,and heat.This heat destroys the eggs of flies and pathogens.The end product compost contains no or few pathogens and is good soil builder as it contains nitrates and phosphates. Parks textbook of preventive and social medicine.K Park. Edition 23. page no:755